A drug that can be used for producing alkalinization of urine is?
1. Hydrochlorothiazide
2. Furosemide
3. Acetazolamide
4. Spironolactone

Correct answer: 3. Acetazolamide